Commonest presentation of wilm's tumour is ?
1. Hematuria
2. Abdomial lump
3. Hydronephrosis
4. Pain in abdomen.

Correct answer: 2. Abdomial lump

Explanation: Ans is 'b' ie Abdominal lump "MC presentation is painless abdominal mass usually discovered by the mother while routinely bathing the baby."